In blunt injury to eye, following changes are seen EXCEPT-
1. Macular hole
2. Berlin's edema
3. Subluxation of lens
4. Soft exudates

Correct answer: 4. Soft exudates